Which is a direct branch of arch of aorta?
1. Right subclavian artery
2. Right common carotid artery
3. Brachiocephalic trunk
4. Right coronary artery

Correct answer: 3. Brachiocephalic trunk

Explanation: This is indirect repeat from previous sessions. See explanation-6 of session-9.